A trained birth attendant serves a population of:
1. 500
2. 1000
3. 2500
4. 5000

Correct answer: 2. 1000

Explanation: Each trained birth attendant is meant to serve 1000 population. Ref: Textbook of community medicine, S. Lal, 3rd edition pg: 629.